Coxsackie A virus causes all except-
1. Aseptic meningitis
2. Herpangina
3. Foot and mouth disease
4. Bornbolm disease

Correct answer: 4. Bornbolm disease

Explanation: Cox sickie virus causes herpangina, aseptic meningitis,HFMD REF:MICROBIOLOGY ANANTHA NARAYANAN NINTH EDITION PAGE.491